Which One of the following is true for the competitive antagonism
1. Antagonism cannot be completely reversed by increased by an increased dose of an antagonist
2. Agonist cannot display an antagonist from the receptor
3. Agonist and antagonist are bind to same receptor
4. Dose response curve of an agonist shift towards left In presence of antagonist

Correct answer: 3. Agonist and antagonist are bind to same receptor

Explanation: Competitive antagonists bind to receptors at the same binding site (active site) as the endogenous ligand or agonist, but without activating the receptor. Agonists and antagonists "compete" for the same binding site on the receptor Ref-KDT 7/e p39